One of the following condition Is not associated with clubbing
1. Primary biliary cirrhosis
2. Chronic bronchitis
3. Ciyptogenic fibrosing alvcolitis
4. Central bronchiectasis

Correct answer: 2. Chronic bronchitis

Explanation: Chronic bronchitis does not cause clubbing Pulmonary causes of clubbing: primary and metastatic lung cancer bronchiectasis asbestosis sarcoidosis lung abscess cystic fibrosis tuberculosis mesothelioma other causes include inflammatory bowel disease,infective endocarditis,cyanotic congenital heart disease ,hepatic cirrhosis etc